Which of the following regions of the white matter would not contain corticospinal fibers?
1. Pyramid of medulla oblongata
2. lateral white column of the spinal cord
3. Cerebral peduncle of the midbrain
4. Anterior limb of the internal capusle

Correct answer: 4. Anterior limb of the internal capusle

Explanation: The anterior limb of the internal capsule doesnot contain corticospinal fibers. Corticospinal fibers have the following course: Cerberal cortex - Corona radiata - Posterior limb of the internal capsule - Crus cerebri of cerebral peduncles - Ventral part of the pons - Pyramids of medulla oblongata (most fibers decussate here) - Anterior and lateral white columns of the spinal cord (as anterior and lateral corticospinal tracts, respectively) Ref: Gray's Anatomy 41st edition Pgno: 395